Trisomy 13 is seen in –
1. Edward Syndrome
2. Patau Syndrome
3. Down Syndrome
4. Turner Syndrome

Correct answer: 2. Patau Syndrome

Explanation: Trisomy 13 - Patau Syndrome 
Trisomy 18 - Edward Syndrome 
Trisomy 21 - Down Syndrome 
XO - Turner Syndrome 
XXY - Klinefelter's syndrome